A 9-year-old child was brought to OPD for being restless annd hyperactive. His mother gives the history that his teacher complaints that he does not listen to the chapters taught at school and disturbs other students, he also shows less interest in playing. The likely diagnosis is:
1. Cerebral palsy
2. ADHD
3. Delirium
4. Mania

Correct answer: 2. ADHD

Explanation: Hyperactivity and short attention span suggest a diagnosis of ADHD. Lack of concentration, impulsivity & hyperactivity are essential features of ADHD. Onset upto 12 years of age. Symptoms of ADHD: - Inattention - Hyperactivity - Impulsivity - Other symptoms- Destructive behavior, irritability, and aggression. Pharmacotherapy: Stimulants Non stimulants Methylphenidate, dexmethylphenidate Atomoxetine Amphetamines Bupropion Modafinil Clonidine, Guanfacine Venlafaxine